Unconjugated hyperbillirubinemia is seen in all except
1. Phsiological jaundice
2. Breast milk jaundice
3. Gilbert syndrome
4. Biliary atresia

Correct answer: 4. Biliary atresia

Explanation: Biliary atresia is characterized by obliteration or discontinuity of the extrahepatic biliary system, resulting in obstruction to bile flow(conjugated bilirubin) thus leading to conjugated hyperbilirubinemia. Reference : page 312 Ghai Essential Pediatrics 8th edition